Cholinomimetic is not used in which of the following?
1. Bradycardia
2. Glaucoma
3. Myasthenia gravis
4. Post-surgical atony or ileus

Correct answer: 1. Bradycardia

Explanation: Ans. a. Bradycardia (Ref: Katzung 12/e p108-110)Cholinomimetic is used for open angle glaucoma, cobra bite and myasthenia gravis but not in bradycardia. (AIIMS November 2013 repeat)Uses of Cholinomimetic* Diseases of eye: Glaucoma and accommodative esotropiaQ* Gastrointestinal and urinary tract: Postoperative atonyQ, neurogenic bladderQ* Heart: Certain atrial arrhythmiasQ* Atropine overdosesQ* Alzheimer's diseaseQ* Cobra biteQ: Neostigmine and endrophonium* Neuromuscular junction: Myasthenia gravisQ, Curare induced neuromuscular paralysis